Which subtype of Hodgkin lymphoma is negative for CD15 and CD30 markers :
1. Nodular sclerosis
2. Mixed cellularity
3. Lymphocyte depletion
4. Lymphocyte predominance

Correct answer: 4. Lymphocyte predominance

Explanation: Lymphocyte predominance Lymphocyte predominance subtype has tumor cells negative for CD15 and CD30; they are positive for CD20.